Contents of deep perenial pouch include all of the following except
1. Dorsal nerve of penis
2. Bulbourethral gland
3. Root of penis
4. Sphincter urethrae

Correct answer: 3. Root of penis

Explanation: The deep perenial pouch includes deep transverse perineal pouch,membraneous portion of urethra,bulbourethral gland.Deep perineal pouch is the anatomic spacde enclosed by perineum and located superior to the perinial membrane. ref - BDC vol2 6e pg 355,360